Association fibers include all of the following except?
1. Corona Radiata
2. Arcuate fasciculus
3. Cingulum
4. Uncinate fasciculus

Correct answer: 1. Corona Radiata

Explanation: Ans. is'a'i.e., Corona Radiata(Ref Gray's Anatomy p. 411)White matter of cerebrum hemisphere is divisible into 3 fiber systems :-Association fibers:Connect the one functional area of one cerebral hemisphere to other in the same cerebral hemisphere.CingulumSuperior longitudinal fasciculusInferior longitudinal fasciculusUncinate fasciculusArcuate fasciculusFonixOccipitofrontal fasciculus